Which organismal infection is highly virulent & cause corneal ulcer perforation within 48 hr?
1. Herpes simplex
2. Pseudomonas
3. Staphylococci
4. Aspergillus

Correct answer: 2. Pseudomonas

Explanation: Pseudomonas bacterial keratitis is most virulent and can cause corneal ulcer perforation within 48 hours. Pseudomonas ulcer : Most common cause of infection in contact lens users Very virulent Can stimulate fungal corneal ulcer Important Points to Remember in Bacterial Keratitis: *Symptoms more pronounced than sign. *Staphyococcus most common cause for bacterial keratitis. *Most common cause of contact lens related keratitis- Pseudomonas. *Ulcer Serpens- Pneumococcus. *Organisms that can breach intact corneal epithelium - Gonococci, Meningiococci, Shigella, Corynebacterium diphtheria, H. influenza biotype III, Listeria monocytogenes